Which of the following is associated with old chronic trauma?
1. Subdural hematoma
2. Extradural hematoma
3. Subarachnoid hematoma
4. Putaminal bleed

Correct answer: 1. Subdural hematoma

Explanation: Sub Dural hematoma is due to venous bleed and is usually seen due to stretching of bridging veins and there is a slow collection of blood due to venous pressure being low and can be seen in patients with old chronic trauma. it shows Concavo-Convex or Crescentic or Banana shaped on CT. Large crescentic collection of acute blood along the right hemisphere representing an acute SDH. Note mass effect, dilation of the contralateral ventricle due to CSF outflow obstruction, and subfalcine herniation (arrow). Blood also extends into interhemispheric region.